Which of the following statements about Histamine is true:
1. Is found in Mast cells
2. Increases gastric acid secretion
3. Related to arousal and blood pressure
4. All of the above

Correct answer: 4. All of the above

Explanation: Ans: D i.e. All of the above Histamine Histamine is formed by: Decarboxylation of histidine Function of histamine: Mediates triple response